Least common quadrant for breast carcinoma is
1. Upper outer
2. Upper inner
3. Lower outer
4. Lower inner

Correct answer: 4. Lower inner

Explanation: Most common quadrant for breast carcinoma upper outer quadrant.